"Othello syndrome" relates to which of the following?
1. Psycopathic killer
2. Alcoholic killer
3. Sexual killer
4. Jealous killer

Correct answer: 4. Jealous killer

Explanation: Delusion of infidelity/Jealous killer: This has been called as 'Othello syndrome' . In this syndrome, Person holds a delusional belief that his spouseis unfaithful Ref - Krishan Vij textbook of forensic medicine and toxicology 5e pg: 409